Articular cartilage at the end of bones is composed of which of the following?
1. Fibrocartilage
2. Hyaline cartilage
3. Elastic cartilage
4. Chondronectin

Correct answer: 2. Hyaline cartilage

Explanation: Articular Cartilage is the small rim of hyaline cartilage remaining at the end of bones. Hyaline cartilage is also found in the respiratory tract, nose, ribs, and forms the model for fetal bone formation.